Local anesthetics block nerve conduction by
1. Depolarising the nerve membrane reducing threshold potential
2. Decreasing the membrane permeability to Na+ ions there by stabilizing nerve membrane
3. Increasing the membrane permeability to K+ ions and by depolarising nerve membrane
4. None of the above

Correct answer: 2. Decreasing the membrane permeability to Na+ ions there by stabilizing nerve membrane